Point prevalence of a chronic disease is studied best by:
1. Case control study
2. Cross sectional study
3. Historical cohort
4. Cohort

Correct answer: 2. Cross sectional study

Explanation: Ans: B (Cross sectional study) Ref: Textbook of Preventive and Social Medicine, K. Park, 22nd edition page no 59Explanation:* Prevalence is an important measure of burden of disease in the community at a point of time or during a period of time. Accordingly they are called point prevalence and period prevalence.